Inferior parathyroid gland develops from:
1. Branchial arch 3rd
2. Branchial arch 4th
3. Branchial pouch 3rd
4. Branchial pouch 4th

Correct answer: 3. Branchial pouch 3rd

Explanation: Ans. C Branchial pouch 3rdRef: Netter's Essential Histology, 2nd ed. pg. 227* Third branchial pouch forms the Thymus and Inferior parathyroid glands.* Fourth branchial pouch forms superior parathyroid glands and ultimobranchial body.* Aberrant development of third and fourth branchial pouches results in Di-George syndrome. It leads to thymic and inferior* parathyroid gland hypoplasia. The infant develops recurrent pneumonia episodes and hypocalcemia.* 2nd branchial pouch forms tonsils.* 1st branchial pouch ventral part forms tongue* 1st branchial pouch dorsal part forms tub tympanic recess, Eustachian tube, middle ear cavity and inner part of Eustachian tube.